The structure passing through the central tendon of diaphragm
1. IVC
2. Aorta
3. Sympathetic chain
4. Esophagus

Correct answer: 1. IVC

Explanation: IVC passes through central tendon at T8 Vertebra level *Along with this few branches of right phrenic N passes.